Rinne test is positive -a) Normalb) Sensorineural deafnessc) Conductive deafness d) All of the above
1. ab
2. a
3. ad
4. bc

Correct answer: 1. ab